Blood Urea Nitrogen is decreased in:
1. Hypo-ammonemia
2. Hyper-ammonemia
3. Hyperventilation
4. Hypoventilation

Correct answer: 2. Hyper-ammonemia

Explanation: Blood Urea Nitrogen is decreased in urea cycle defects,where Hyper-ammonemia occurs C/f of urea cycle defects:- Increased blood glutamine Decreased BUN (Blood Urea Nitrogen) Cerebral oedema Vomiting Lethargy Blurred vision Slurred speech & hyperventilation. Note:-Severe ammonia toxicity can lead to coma and eventually death.